Which of the following is the differentiating feature of hysterical fits from epileptic fit?
1. Occurs in sleep
2. Injuries to person
3. Incontinence
4. Occurs when people are watching

Correct answer: 4. Occurs when people are watching

Explanation: Differentiating features of psychogenic or non epileptic seizures or pseudoseizures: Completely asynchronous thrashing of the limbs and repeated side-to-side movements of the head Striking out at a person who is trying to restrain the patient Hand-biting, kicking, trembling, and quivering Pelvic thrusting and opisthotonic arching postures Screaming or talking during the ictus Eyes are kept quietly or forcefully closed Tend to occur in the presence of observers, to be precipitated by emotional factors, and to be prolonged for many minutes or hours; with few exceptions, tongue-biting, incontinence, huful falls, or postictal confusion are lacking Serum creatine kinase levels are normal after hysterical convulsions Ref: Samuels M.A. (2009). Chapter 16. Epilepsy and Other Seizure Disorders. In M.A. Samuels (Ed), Adams and Victor's Principles of Neurology, 9e.